The commonest site of aspiration of a foreign body in the supine position is into the:
1. Right upper lobe apical
2. Right lower lobe apical
3. Left basal
4. Right medial

Correct answer: 2. Right lower lobe apical

Explanation: In supine position and with the patient on back superior segment of RLL is the most dependent segment.